MAC is not affected by all of the following except?
1. Species
2. Sex
3. Duration of anaesthesia
4. Age

Correct answer: 4. Age

Explanation: MAC decreases with age. Excluding patients < 1 year of age every decade there is 6% decrease in value of MAC. Endocrine disorders, duration of anaesthesia, species ,sex does not affect MAC